The root of the right lung does not lie behind which one of the following
1. Right atrium
2. Right vagus
3. Superior vena cava
4. Phrenic nerve

Correct answer: 2. Right vagus

Explanation: Right vagus is the posterior relation of the root BRT D CHAURASIA'S HUMAN ANATOMY UPPER LIMB THORAX-VOLUME1 page no-237,238